Hard wax which is obtained by solvent extraction of certain types of lignite or brown coal is known as:
1. Montan wax
2. Carnuaba wax
3. Paraffin wax
4. Inlay wax

Correct answer: 1. Montan wax

Explanation: Carnauba wax is often replaced in part by certain synthetic waxes that are compatible with paraffin wax. At least two waxes of this type can be used. One is a complex nitrogen derivative of the higher fatty acids and the other contains esters of acids derived from montan wax, a derivative hard wax that is obtained by solvent extraction of certain types of lignite or brown coal. Approximately a third of all montan wax produced is used in automobile polishing pastes.
Key Concept
Montan wax, also known as lignite wax or OP wax, is a hard wax obtained by solvent extraction of certain types of lignite or brown coal.
Phillip’s 12th edition page 196